All of the following are complications in a pregnant woman with systemic lupus erythematosus (SLE) disease except ______
1. Preterm labour
2. Thrombophilia
3. Post term delivery
4. Eclampsia

Correct answer: 3. Post term delivery

Explanation: Post term delivery is not a complication in a pregnant patient with SLE. Complications in a pregnant patient with SLE include: Thrombophilia Pre term labour Hypertension, Eclampsia and Pre eclampsia Anemia Stroke Thrombocytopenia Renal failure Ref: Williams Obstetrics 25th edition Pgno: 1141